Which of the following is the order of activation after stimulation of Purkinje fibers is
1. Septum → Endocardium → Epicardium
2. Endocardium → Septum → Epicardium
3. Epicardium → Septum → Endocardium
4. Septum → Epicardium → Endocardium

Correct answer: 1. Septum → Endocardium → Epicardium

Explanation: Order of depolarization in the heart.
-        First- Left side of interventricular septum
-        Moves to right across the mid-portion of the septum
-        Apex of heart
-        Along ventricular walls to AV groove (Endocardium to epicardium)
-        Last- Posterobasal portion of the left ventricle, pulmonary conus, uppermost portion of the septum.